MacConkey's Agar is -
1. Enriched medium
2. Enrichment medium
3. Differential medium
4. Synthetic medium

Correct answer: 3. Differential medium

Explanation: DIFFERENTIAL MEDIA: a medium that has substance incorporated in it enabling it to bring out differing characteristic of bacteria and help to distinguish between them is called differential media for eg; MAcCONKEY, NAGLERS MEDIA Ref: